Which of the following is the lateral curve of the body in strychnine poisoning -
1. Optisthotonus
2. Emprosthotonus
3. Pleurosthotonus
4. None of the above

Correct answer: 3. Pleurosthotonus